In which of the following condition is blood osmolality increased:
1. Diarrhea
2. SIADH
3. Psychogenic polydipsia
4. Cerebral toxoplasmosis

Correct answer: 1. Diarrhea

Explanation: Diarrhea = Loss of water leads to concentration in body SIADH = Dilutional hyponatremia Psychogenic Polydipsia = Dilutional condition Cerebral toxoplasmosis leads to SIADH which again result in dilution